Which symptom of schizophrenia respond earliest to treatment
1. Negatavism
2. Paranoid delusions
3. Auditory hallucinations
4. Apathy

Correct answer: 3. Auditory hallucinations

Explanation: C i.e. Auditory hallucinations